Which of the following inhibits CYP-P450
1. grape fruit
2. Ethanol
3. Rifampicin
4. Procainamide

Correct answer: 1. grape fruit

Explanation: enzyme inhibitors- cimetidine, chloramphenicol, ciprofloxacin, ketoconazole, protease inhibitors like ritonavir, indinavir, saquinavir, and grape fruit juice etc Ref KD Tripathi 8th ed